All of the following statements are true regarding Staphylococci except:
1. A majority of infections caused by coagulase-negative Staphylococci are due to Staphylococcus epidermidis
2. b-lactamase production in Staphylococci is under plasmid control
3. Expression of methicillin resistance in Staphylococcus aureus increases when it is incubated at 37degC on blood agar
4. Methicillin resistance in Staphylococcus aureus is independent of b-lactamase production

Correct answer: 3. Expression of methicillin resistance in Staphylococcus aureus increases when it is incubated at 37degC on blood agar

Explanation: Ans. is 'c' i.e., Expression of methicillin resistance in staph aureus increases when it is incubated at 37degC on blood agar(Ref: Ananthanarayan, 9th/e, p. 204 and 8th/e, p. 197; Harrison, 18th/e/p. 1168 and 17th/e, p. 879, 880)b-lactamase production is controlled by plasmid.About Option 'A'"Approximately 75% of the infections caused by coagulase negative staphylococci are due to staphylococcus epidermidis."